The focal length of the mirror used in head lamp -
1. 85mm
2. 150 mm
3. 250mm
4. 400 mm

Correct answer: 3. 250mm

Explanation: Head mirror is a concave mirror used to reflect light from the bull’s eye lamp onto the part being examined
It has focal length of ~ 25 cm (= 10 inch) The examiner sees through the hole in the centre of the mirror
Diameter of central hole = 19 mm (3/4 inch)